Zidovudine causes:
1. Neurotoxicity
2. Nephrotoxicity
3. Neutropenia
4. Ototoxicity

Correct answer: 3. Neutropenia

Explanation: Nucleoside reverse transcriptase inhibitors (NRTis) Zidovudine :It is a thymidine analogue (azidothymidine, AZT), the prototype NRTI. Adverse effects Toxicity is mainly due to partial inhibition of cellular DNA polymerase. Anaemia and neutropenia are the most important and dose-related adverse effects. Nausea, anorexia, abdominal pain, headache, insomnia and myalgia are common at the start of therapy but diminish later. Myopathy, lactic acidosis, hepatomegaly, convulsions and encephalopathy are infrequent. ESSENTIALS OF MEDICAL PHARMACOLOGY K.D.TRIPATHI SIXTH EDITION PAGE NO:770,771